The HLA class III region genes are important elements in:
1. Transplant rejection phenomenon
2. Governing susceptibility to autoimmune disease
3. Immune surveillance
4. Antigen presentation and elimination

Correct answer: 2. Governing susceptibility to autoimmune disease

Explanation: Ans. B i.e. Governing susceptibility to autoimmune disease